Palmar surface of hand represents:
1. 1% of total body surface area
2. 2% of total body surface area
3. 3% of total body surface area
4. 4% of total body surface area

Correct answer: 1. 1% of total body surface area

Explanation: Ans. A: 1% of total body surface area The use of a patient's own hand as a tool to estimate the area of burn injury is well documented. The area of the palmar surface of one hand has been estimated to be 1 percent of the body surface area.